b-adrenergic receptor antagonists such as propranolol is used in the treatment of which of the following?
1. Performance anxiety
2. Substance use disorders
3. Lithium tremor
4. All of the above

Correct answer: 4. All of the above

Explanation: Ans. D. All of the aboveIndications for b-adrenergic receptor antagonists are lithium tremor, major depressive disorders, substance use disorders, performance anxiety, and neuroleptic-induced akathisia. The five b-adrenergic receptor antagonists most frequently studied for psychiatric applications are propranolol, metoprolol, atenolol, and pindolol. Propranolol is the most commonly used b-adrenergic receptor antagonist and is not known to exert a teratogenic effect in humans.